A newborn has multiple congenital defects owing to dysgenesis of the neural crest. Which of the following cells is most likely to be spared?
1. Geniculate ganglion cells
2. Melanocytes
3. Motor neurons
4. Parafollicular cells

Correct answer: 3. Motor neurons

Explanation: Motor neurons develop from the neural tube, more specifically from the basal plate. Other options (Geniculate ganglion cells,Melanocytes and Parafollicular cells) are derivatives of the neural crest. Derrvatives of the neural crest: